All are indications for post-operative radiotherapy in a case of Carcinoma Endometrium EXCEPT?
1. Myometrial invasion >1/2 thickness
2. Positive lymph nodes
3. Endocervical involvement
4. Tumor positive for estrogen receptors

Correct answer: 4. Tumor positive for estrogen receptors

Explanation: Ans. D. Tumor positive for estrogen receptorsa. Receptor positivity have no influence on postop radiotherapy.b. As far as receptor status is concerned, the best correlation is that of a good prognosis with high progesterone receptors rather than a poor prognosis with high estrogen receptorsc. The best prognostic factor of cancer endometrium, amongst others, is the Histological grading of the diseased. Other important predictors are:i. Depth of myometrial invasionii. Status of pelvic and para-aortic lymph nodesiii. Malignant cells in peritoneal washingsiv. Lymph vascular invasionv. Cervical invasion